Which of the following vessels do not take part in the Circle of Willis?
1. Anterior cerebral
2. Middle cerebral
3. Posterior cerebral
4. Posterior communicating

Correct answer: 2. Middle cerebral

Explanation: The circle of Willis is composed of the following arteries: Anterior cerebral artery(left and right) Anterior communicating artery Internal carotid artery (left and right) Posterior cerebral artery(left and right) Posterior communicating artery (left and right) The middle cerebral arteries, supplying the brain, are not considered part of the circle. Chaurasia head and Neck 6th edition Pg: 444